In Jarjaway fracture of nasal bone, the fracture line runs
1. Vertical
2. Spiral
3. Horizontal
4. In any direction

Correct answer: 3. Horizontal

Explanation: Ans. c (Horizontal) (Ref. PL Dhingra ENT 4th/p. 141)Hint: Jar a horizontally jaway!!! & vertically CHEVAL !!!CauseMeans?JARJAWAY FRACTURE of nasal septumResults from blow from the frontIt starts just above the anterior nasal spine and runs horizontally backwards just above the junction of the septal cartilage with the vomer.CHEVALLETE FRACTURE of septal cartilageResults due to blow from belowIt runs vertically from the anterior nasal spine upwards to the junction of bony and cartilaginous dorsum of the nose.# Nasal bone is the most common fracture of the face.# Nasal bone fracture is best diagnosed b\ palpation. not by x-ray.# In Chevallet fracture of nasal bone. the mechanism of trauma is Blow from below.